60-year-old male with history of dysphagia can take liquid only and history of smoking and weight loss. Diagnosis is:
1. Achalasia cardia
2. Barret's esophagus
3. Carcinoma esophagus
4. Corrosive

Correct answer: 3. Carcinoma esophagus

Explanation: Ans. (c) Carcinoma EsophagusRef: Bailey and Love 26th Edition, Page 1006* Most common cause of rapid progressive dysphagia and weight loss in carcinoma